Irresistible sexual desire in male is known as:
1. Sadism
2. Tribadism
3. Satyriasis
4. Nymphomania

Correct answer: 3. Satyriasis

Explanation: Ans. is 'c' i.e. Satyriasis Satyriasis is a psychological condition of men characterized by uncontrollable sexual desire and an inability to have lasting sexual relationships. Referred to non-technically as Don Junanism. Also called gynecomania, satyr ism, satyromania.Similar condition in women is known as nymphomaniaSadism (algolagnia): This is a sexual perversion in which acts of physical cruelty or infliction of pain upon one's partner is necessary for sexual gratification.Tribadism: Female homosexuality is known as Tribadism or lesbianism - sexual gratification of a woman by another woman.